The most common side effect of IUCD insertion is:
1. Bleeding.
2. Pain.
3. Pelvic infection.
4. Ectopic pregnancy.

Correct answer: 1. Bleeding.

Explanation: Side effects of IUCD Bleeding Most common side effect Tranexamic acid and NSAIDS and are given for the first 3 cycles during periods Best time of Insertion of IUCD within Last days of Periods Pain( Most common reason for removal) Infection PID's (Should be Ruled out before Inserting IUCD) Perforation(Rare)